X chromosome belongs to which group?
1. A
2. B
3. C
4. D

Correct answer: 3. C

Explanation: Ans. (c) CX chromosome belongs to group C.Different groups of chromosomesGroupsChromosomeA1-3B4-5C6-12, XD13-15E16-18F19-20G21, 22, YNote* X chromosome belongs to group C. They are submetacentric* Y chromosome belongs to group G. They are small acrocentric* The largest chromosome is chromosome 1